Which vitamin deficiency causes glossitis and cheilosis ?
1. Thiamin
2. Riboflavin
3. Folic acid
4. Vitamin A

Correct answer: 2. Riboflavin

Explanation: Ans. is 'b' i.e., Riboflavin